Left lobe of the brain is responsible for
1. Appreciation of music
2. Spatial orientation
3. Visual stimuli processing
4. Using written and spoken language

Correct answer: 4. Using written and spoken language

Explanation: Categorial hemisphere (left)- Spoken language, written language, mathematical calculation.
Representational hemisphere (right)- Visuospatial orientation, musical awareness.